Spongiosis involves-
1. Stratum basal
2. Stratum corneum
3. Stratum granulosum
4. Stratum spinosum

Correct answer: 4. Stratum spinosum

Explanation: Spongiosis is seen in intracellular ( in between keratinocytes ) edema. This results in loss of cohesion between epidermal cells which remain on contact with each other only at desmosomes and so acquire a stellate appearance giving the epidermis a sponge like appearance. Ref: Harrison20th edition pg 1208